The risk factors for placenta previa include all except?
1. Young maternal age
2. Multifetal gestation
3. Cigarette smoking
4. Multiparity

Correct answer: 1. Young maternal age

Explanation: Young maternal age is not risk factor for placenta previa , whereas advanced maternal age is a risk factor. Risk factor for placenta Previa: Prior history of placenta previa Multifetal gestation: Due to larger placental area Maternal age: Increasing frequency with increasing maternal age Multiparity: Increasing frequency with increasing parity Cigarette smoking: Increased frequency in women who smoke (2X) Elevated prenatal screening MSAFP levels: Unexplained abnormally elevated prenatal screening levels of maternal serum alpha-fetoprotein (MSAFP) are at increased risk of previa. Ref: Williams Obstetrics 25th edition PGno: 775